According to the concept of iceberge phenomenon of disease, all of the following statements about the submerged portion of the ice berg are true except ?
1. It includes sub-clinical cases
2. It includes carriers
3. It constitutes undiagnosed reservoir of infection
4. Diagnosis can be made with available techniques

Correct answer: 4. Diagnosis can be made with available techniques

Explanation: Ans. is 'd' i.e., Diagnosis can be made with available techniques o The hidden part of iceberg (i.e. submerged portion) constitutes latent, inapparent, presymptomatic and undiagnosed cases and carriers in the community. o Its detection and control is a challange to modern techniques in preventive medicine.